Most Common enzyme deficient in galactosemics:
1. Galactose-1-phosphate uridyl transferase/GALT
2. Galactosidase
3. UDP galactose epimerase
4. Galactokinase

Correct answer: 1. Galactose-1-phosphate uridyl transferase/GALT

Explanation: Dulcitol or galactitol is the alcohol formed after reduction of galactose by enzyme aldosereductase. Excess dulcitol causes oil drop cataract in galactosemia patients. ADDITIONAL EDGE: C/F LIVER -JAUNDICE, HEPATOMEGALY BRAIN -INTELLECTUAL DISABILITY Oil drop cataract in galactosemic patient occurs due to deficiency of enzymes GALT (Classical Type Galactosemia) mainly and Galactokinase (Minor Type Galactosemia). Excess sorbitol (formed after reduction of glucose) causes snow flake cataract in diabetic patients.